Interstitial cystitis is also known as?
1. Eosinophilic cystitis
2. Radiation cystitis
3. Hunner's cystitis
4. Tubercular cystitis

Correct answer: 3. Hunner's cystitis

Explanation: Interstitial cystitis is also known as Hunner's cystitis or elusive ulcer.It is common in psychic females.There is pancystitis withnfibrosis of vesical musculature along with linear ulcers in the bladder mucosa.Bladder eventually becomes thimble (systolic)bladder with decreased bladder capacity up to 30-60 ml. Reference:SRB's manual of surgery,5th edition,page no:1032